Urea,Creatine and Nitric oxide are synthesized from?
1. Alanine
2. Arginine
3. Aspartate
4. Glycine

Correct answer: 2. Arginine

Explanation: AMINO ACID DERIVED PRODUCTS Phenyl alanine Tyrosine->Melanin,Dopa,Dopamine,Norepinephrine,Epinephrine Tryptophan Niacin,Seratonin->Melatonin Histidine Carnosine,Histamine,Anserine Glycine Heme Glutamate GABA,Glutathione Arginine Urea,creatine,Nitric oxide Serine Ethanolamine,choline Lysine cadaverine Reference: Harpers illustrated biochemistry 30th edition